All of the following drugs can be used for the treatment for cessation of smoking except:
1. Nicotine gum
2. Amitriptyline
3. Bupropion
4. Varenicline

Correct answer: 2. Amitriptyline

Explanation: Ans. B. AmitriptylineNicotine replacement therapy (NRT): Five medications have been approved by the U.S. Food and Drug Administration (FDA) deliver nicotine in a form that does not involve the risks of smoking: transdermal nicotine patches, nicotine gum, nicotine lozenges, nicotine spray, and nicotine inhalers. NRTs are meant to be used for a short period of time and should be tapered down to a low dose before stopping. NRTs increase the chance of stopping smoking by 50to60% compared to placebo or to no treatment. There is no side effects reported other than local slight irritation and rarely non-ischemic chest pain.Antidepressants: The antidepressant bupropion is considered a first-line medication for smoking cessation and has been shown in many studies to increase long-term success rates. People who take bupropion should be monitored for any unusual mood changes; bupropion also increases risk of seizures and should not be used in people with a seizure disorder. Varenicline decreases the urge to smoke and reduces withdrawal symptoms and is therefore considered a first-line medication for smoking cessation. A 2016 Cochrane review of 27 studies also found that the number of people stopping smoking with varenicline was higher than with bupropion or NRT. Varenicline more than doubled the chances of quitting compared to placebo and was also as effective as combining two types of NRT.